"Rugger Jersay Spine" is seen in:
1. Fluorosis
2. Achondroplasia
3. Renal osteodystrophy
4. Marfan's syndrome

Correct answer: 3. Renal osteodystrophy